Osteomyelitis first occurs in :-
1. Metaphysis
2. Epiphysis
3. Diaphysis
4. All of above

Correct answer: 1. Metaphysis

Explanation: Ans. (a) MetaphysisRef.: Bailey & Love 26th edJ54l* The most common site is the rapidly growing and highly vascular metaphysis of growing bones. The apparent slowing or sludging of blood flow as the vessels make sharp angles at the distal metaphysic predisposes the vessels to thrombosis and the bone itself to localized necrosis and bacterial seeding.* Vertebral osteomyelitis at any age is most often a secondary complication of a remote infection with hematogenous seeding.* Direct or contiguous inoculation osteomyelitis is caused by direct contact of the tissue and bacteria during trauma or surgery.